All are relatively normal in Korsakoff's psychosis except
1. Implicit memory
2. Intelligence
3. Language
4. Learning

Correct answer: 4. Learning

Explanation: D i.e. Learning